Concentration of which is inversely related to the risk of coronary heart disease ?
1. VLDL
2. LDL
3. HDL
4. None

Correct answer: 3. HDL

Explanation: Ans. is 'c' i.e., HDL The level of HDL in serum is inversely related to the incidence of MI.As it is "antiatherogenic" or "protective" in nature, HDL is known as "good cholesterol". HDL has its beneficial effect by reverse cholesterol transport.